Dofetilide belong to?
1. Class I antiarrythmic
2. Class II antiarrythmic
3. Class III antiarrythmic
4. Class IV antiarrythmic

Correct answer: 3. Class III antiarrythmic

Explanation: Ibutilide, dofetilide, sotalol, amiodarone are class 3 agents they are potassium channel blockers- they r broad spectrum antiarrhythmic agents they increase QT interval